Impairment is defined as -
1. Loss of anatomic structure
2. Inability to perform activity
3. Failure of fullfillment of normal role
4. Abnormal condition in the body

Correct answer: 1. Loss of anatomic structure

Explanation: Ans. is 'a' i.e., Loss of anatomic structure o According to WHO definitions,# Disease: Any abnormal condition of an individual that impairs function# Impairment'. Any loss or abnormality of psychological, physiological or anatomical structure or function# Disability: (Because of impairment,) any restriction or inability to perform an activity in a range considered normal for a human being# Handicap: A disadvantage for a given individual, resulting from an impairment/disability, that limits/prevents fulfillment of a role considered normal (depending on age, sex, social, cultural factors) for that individualFor example,EventClassification InterpretationAccidentDiseaseImpairs function of a personLoss of footImpairmentLoss of anatomical structure in the form of footCannot WalkDisabilityWalking is a normal routine daily activity of a human beingUnemployedHandicapLoses out his job because he cannot walk, so cannot fulfill his role in the society, i.e, earning for his family members